An excess of which of the following hormones may be associated with increased sensitivity to epinephrine?
1. Testosterone
2. Parathyroid
3. Insulin
4. Thyroid

Correct answer: 4. Thyroid